Bankart's lesion is seen in
1. Anterior border of head of humerus
2. Posterior border of head of humerus
3. Anterior glonoid cavity
4. Posterior glenoid cavity

Correct answer: 3. Anterior glonoid cavity

Explanation: C i.e. Anterior glenoid cavity Two major lesions in patients with Recurrent Anterior Dislocation Bankart lesion - An anterior capsule injury associated with the tear of the glenoid labrum off the anterior (more specifically anteriorinferior) glenoid rimQ.Bankart described the essential lesion as stripping off fibrocartilagenous labrum from anterior glenoid which did not heal.As capsular ruptures & anterior glenoid ri m fractures usually heal rapidly these did not play significant role in recurrent dislocation. Hill- Sachs Lesion It is compression fracture of the postero lateral articular surface of humeral headQ (more specifically on superior aspect)- With the trauma of repeated dislocation, the humeral head is forced upon glenoid rim and the relatively soft bone of humeral head is curshed. The end result is an impression of the glenoid rim that is made on the humeral head. As such these "defects are often referred to as "impression fractures".- In anterior dislocation these defects are created on the posterolateral aspect of humeral head & referred to as Hill Sachs lesion. And in posterior shoulder dislocation these defects are created on anteramedial aspect of humeral head and referred to as reverse Hill Sachs lesion.